Most common site of peptic ulcer in duodenum ?
1. Pt part
2. 2nd part
3. 3rd part
4. 41h part

Correct answer: 1. Pt part

Explanation: Ans. is 'a' i.e., lst part Peptic ulcer Ulcers are defined histologically as a breach in the mucosa of the alimentry tract that extends through the mucularis mucasea into the submucosa or deep. Peptic ulcers are chronic , most often solitary lesions that occur in any protion of the gastrointestinal tract exposed to the aggressive action of acid / peptic juice . Peptic ulcers located in the following sits, in order of decreasing frequency : Duodenum, vials`portion Stomach ,usally antrum At the gastro - esophageal junction in the setting of gastroesphageal reflux or Barrett's esophagus. Within the margins of a gastrojejunostomy. In the duodenum, stomach or jeunum of patients with Zollinger -Ellison Syndrome. Within or adiacent to Meckels diverticulum that contains ectopic gastric mucosa.